Palpable purpura could occur in the following conditions, except -
1. Thrombocytopenia
2. Small-vessel vasculitis
3. Disseminated gonococcal infection
4. Acute meningococcemia

Correct answer: 1. Thrombocytopenia

Explanation: Ref - Semantischolar.org